"Liquefactive" Necrosis as a primary even is most often seen in:
1. Kidneys
2. CNS
3. Spleen
4. Liver

Correct answer: 2. CNS

Explanation: CNS